Transverse line extending from or between the middle of upper canine and incisive fossa is called:
1. Horizontal line
2. Orientation line
3. Transverse line
4. CPC line

Correct answer: 4. CPC line